Non-nucleoside reverse transcriptase inhibitors (NNRTIs) include all of the following except:
1. Nevirapine
2. Delavirdine
3. Etravirine
4. Lamivudine

Correct answer: 4. Lamivudine

Explanation: Ans. (D) Lamivudine(Ref: Katzung 12th/870, KDT 8th/e p861)Lamivudine is nucleoside reverse transcriptase inhibitor (NRTI), not the non-nucleoside reverse transcriptase inhibitor (NNRTI).